Fatigue fractures (Stress fractures) are most commonly seen in :
1. Metatarsals
2. Tibia
3. Fibula
4. Neck of femur

Correct answer: 1. Metatarsals

Explanation: A i.e. Metatarsal